Which amino acid is scarce in pulses?
1. Lysine
2. Threonine
3. Methionine
4. Serine

Correct answer: 3. Methionine

Explanation: Amino acids most deficient in proteins of a food item are 'limiting amino acids'.